Which one of the following is a cyanotic congenital heart disease?
1. Patent ductus arteriosus
2. Atrial septal defect
3. Ventricular septal defect
4. Tetralogy of Fallot

Correct answer: 4. Tetralogy of Fallot

Explanation: Ans. is 'd' i.e., Tetralogy of Fallot